Best tool for monitoring the fluid resuscitation in trauma patients:
1. Urine output
2. Central venous pressure
3. Blood pressure
4. SPO2

Correct answer: 1. Urine output

Explanation: ANS. ABest measure of organ perfusion and best monitor for adequacy of fluid resuscitation is urine output.The only problem is that it is an hourly measure and does not give minute to minute value (Adequate urine output is 0.5 mL/kg/hr or 30-60 mL/hr).Central venous pressure (CVP): As there is no CVP for a shock patient and cannot be placed as an assessment of shock as alone.CVP is a poor reflector of preload.* Lactic acid is the one best measure of gastrointestinal tract (GIT) perfusion* Consciousness is the best measure of brain perfusion.